Frame shift mutation:
1. Substitution of amino acid
2. Changed mRNA base at 3rd nucleotide of codon
3. Due to stop codon
4. Deletion of 2 bases

Correct answer: 4. Deletion of 2 bases

Explanation: Ans. (d) Deletion of 2 basesRef: Harper's Biochemistry, 30th ed. pg. 417-18 Somatic Mutation Include* Point mutation- (mutation of single nucleotide)# Silent mutation: If the changed base in the mRNA molecule at the third nucleotide of a codon, leads to no detectable effect.# Mis-sense mutation: Substitution of amino acid# Non sense mutation: Appearance of stop codon due to mutation* Frame shift mutation-due to deletion/insertion, of one or two bases, which causes shift in reading frame. Whole reading frame is changed leading to entirely different protein molecule synthesis, called garbled protein.* Trinucleotide repeat mutation-repeat more than 55 times.